The apical foramen of a fully developed permanent tooth is usually tined by
1. Dentin
2. Cementum
3. Epithelial rest cells
4. The Epithelial diaphragm

Correct answer: 2. Cementum